Population growth is said to be less than adequate requirement when NRR is -
1. < 1
2. 1
3. > 1
4. 0

Correct answer: 1. < 1

Explanation: NRR of one is equivalent to attaining approximately the two child norm.
If NRR is <1 the reproductive performance of population is said to below replacement level.
NRR will be one when at least 60% of eligible couple are effectively practicising family planning.